40 year old female came to gynae OPD with a complaint of genital ulcer. Physical examination reveals desquamated epithelium and inflammed ulcer bed . Histopathological examination of the inflammatory exudate reveals multinucleated squamous cells with eosinophilic to basophilic viral inclusions with ground glass apearance. Which of the following is most likely the cause ?
1. Candida albicans
2. Herpes simplex Virus
3. Molluscum contagiosum
4. Gardnerella vaginalis

Correct answer: 2. Herpes simplex Virus

Explanation: Herpes Simplex Virus HSV are DNA viruses. There are 2 serotypes of HSV : HSV-1 and HSV-2. HSV-1 causes mainly oral infections and HSV-2 causes mainly genital infections in both males and females. Genital HSV infection is common and may involve cervix , vagina, vulva in females. Histopathological examination shows characterstic cytopathic changes consisting of multinucleated squamous cells containing eosinophilic to basophilic viral inclusions with a ground glass pattern. Image showing the viral cytopathic effect of HSV : multi-nucleation and ground glass chromatin